Which is not secreted by stomach?
1. Lipase
2. Pepsinogens
3. HCI
4. None

Correct answer: 4. None

Explanation: Gastric lipase is an acidic lipase secreted by the gastric chief cells in the fundic mucosa in the stomach. It is a weak fat-splitting enzyme. Pepsinogen is secreted by the chief cells of main gastric glands which are found in the body & fundus of stomach. It is a proteolytic enzyme. HCl is secreted by the parietal cells of main gastric glands found in body & fundus of stomach. It participates in the breakdown of protein, provides an optimal pH for action of pepsin & hinders the growth of pathogenic bacteria. Ref: Medical Physiology, Indu Khurana